Halban disease is due to
1. Persistent corpus luteum
2. Deficient corpus luteum
3. Persistent trophoblast
4. Deficient trophoblast

Correct answer: 1. Persistent corpus luteum

Explanation: Irregular shedding (Halban's disease)
It is rare and self-limited. It is due to persistent corpusluteum. The menstruation comes on time, is prolonged but not heavy. Progestogen can suppress the bleeding, but needs to be taken on tapering dose for 20 days to complete the cycle.